Predisposing factor for pneumococcal pneumonia
1. CRF
2. Lymphoma
3. Old age
4. All of the above

Correct answer: 4. All of the above